Duration of T.I.A (Transient Ischemic Attacks) is less than?
1. 12 hours
2. 24 hours
3. 48 hours
4. 36 hours

Correct answer: 2. 24 hours

Explanation: The standard definition of TIA requires that all neurologic signs and symptoms resolve within 24 hours regardless of whether there is imaging evidence of new permanent brain injury. Stroke has occurred if the neurologic signs and symptoms last for >24 hours.